Delusions are features of all except -
1. Delirium
2. Schizophrenic
3. OCD
4. Alcohol withdrawal

Correct answer: 3. OCD

Explanation: Ans. is 'c' i.e., OCDDelusions are seen in psychotic disorders Organici) Delirium (Acute confusional state)ii) Substance :- Abuse (alcohol, amphetamines) and withdrawal (alcohol).2) Non organici) Schizophreniaii) Affect/mood disorders (Mania & depression)iii) Other non-organic psychosis :- Delusional disorders, Schizoaffective disorders.Delusions are not seen in neurotic disorders - Anxiety disorders obsessive-compulsive disorders, Dissociative (conversion) disorders, Somatoform disorders, Stress-related disorders.